In which one of the primary glomerulonephritis the glomeruli are normal by light microscopy but shows loss of foot processes of the visceral epithelial cells and no deposits by electron microscopy:
1. Poststreptococcal glomerulonephritis
2. Membrano-proliferative glomerulonephritis type I
3. IgA nephropathy
4. Minimal change disease

Correct answer: 4. Minimal change disease

Explanation: Minimal Change Disease : The glomeruli are normal by light microscopy. By electron microscopy the GBM appears normal, and no electron dense material is deposited. The principal lesion is in the visceral epithelial cells, which show a uniform and diffuse effacement of foot processes.